Which of the following structure does not pass through the thoracic inlet ?
1. Left common carotid artery
2. Thoracic duct
3. Left sympathetic trunk
4. Right recurrent laryngeal nerve

Correct answer: 4. Right recurrent laryngeal nerve

Explanation: Thoracic inlet Inlet of thorax at the level of 1st rib Left recurrent laryngeal nerve passes through thoracic inlet not the right recurrent laryngeal nerve. Structure passing through thoracic inlet are: Viscera Trachea,Esophagus,Apex of lung,Thoracic duct. Large vessels Brachiocephalic artery on right side , Left common carotid, Right and left brachiocephalic vein Smaller vessels Internal thoracic arteries, Superior intercostal arteries, 1st posterior intercostal veins (all are on both sides) Nerves Phrenic nerve, Vagus nerve, Sympathetic trunk( on both sides), Left recurrent laryngeal nerve Muscle Sternohyoid, Sternothyroid,Longus colli